70yrs old patient diagnosed with ovarian cancer. Surgical staging involving inguinal lymph nodes
1. Stage IIIA
2. Stage IIIB
3. Stage IVA
4. Stage IV B

Correct answer: 4. Stage IV B

Explanation: Stage IV: distant metastasis excluding peritoneal metastasis. IVA: pleural effusion with positive cytology. IVB: hepatic and/ or splenic parenchyma metastasis, metastasis to extra abdominal organs (including inguinal lymph nodes and lymph nodes outside of the abdominal cavity) Reference: textbook of gynaecology Sheila balakrishnan, 2nd edition, pg no:277